ASD is seen in a/e -
1. Turner's synd
2. Ellisvan crevald synd
3. Down's synd
4. Halt-oram synd

Correct answer: 1. Turner's synd

Explanation: Ans. is 'a' i.e., Turner's synd Atrial septal defect o ASD is an abnormal communication between the two atria. o There are two types of ASD : - 1)0stium secundum It is generally anatomically located at fossa ovalis. It can also be superior or posterior to fossa ovalis. It is the most common type of ASD. 2)0stium primum (endocardial cushion defect) It is situated inferior to fossa ovalis. It is associated with a cleft in the anterior leaflet of mitral valve, with or without a cleft in the septal tricuspid leaflet. Important syndromes associated with ASD : - Holt - oram syndrome Thrombocytopenia absent radius (TAR) syndrome. Down syndrome Pierre Robin syndrome Ellis-van crevald syndrome Ehler Danlos syndrome Rubinstein - Taybi syndrome Fetal alcohol syndrome